Necrotizing lymphadenitis is characteristically seen in
1. Kimura disease
2. Kikuchi disease
3. Hodgkin's disease
4. Castleman disease

Correct answer: 2. Kikuchi disease

Explanation: Kikuchi Disease: Rare subacute necrotizing lymphadenitis Most commonly seen in children and young adults of Asian heritage. Etiology is unknown Pathology: Necrotizing and crescenteric plasmocytoid monocytes. Absence of neutrophils and eosinophils. Clinical Features: Most characteristics feature: Painful tender lymphadenopathy, most commonly involving cervical LN. Less commonly involved LNs include axillary and inguinal LNs. Deep LNs and Extranodal sites are rarely involved. Lymphadenopathy is associated with fever and systemic signs. Prognosis: Self-limiting disease, resolves spontaneously within 6 months. Ref: Nelson 20th edition Pgno: 2414